The only thrombolytic agent approved for the treatment of acute ischemic stroke is -
1. Tissue Plasminogen activator
2. Streptokinase
3. Urokinase
4. Pro-urokinase

Correct answer: 1. Tissue Plasminogen activator